Investigation of choice for Acute cholecystitis is:
1. H.I.D.A Scan
2. USG
3. CT Scan
4. Biopsy

Correct answer: 2. USG

Explanation: IOC for Acute Cholecystitis: USG USG is the IOC for most GB pathologies Most Accurate Investigation for Acute Cholecystitis: H.I.D.A Scan (H.I.D.A is used for equivocal cases where USG is not conclusive ) IOC for Abdominal trauma :CECT